Which of the following drug is used in the Tensilon test:
1. Methacholine.
2. Bethanechol.
3. Edrophonium.
4. Tacrine.

Correct answer: 3. Edrophonium.